False about chest trauma
1. ECG done in all cases a\/w sternal fracture
2. Under water seal drainage if a\/w pneumothorax
3. X-ray chest investigation of choice
4. Urgent surgery needed in all cases

Correct answer: 4. Urgent surgery needed in all cases

Explanation: 80% of chest injuries can be managed non operatively. Chest radiograph is the initial investigation of choice.If a sucking chest wound is present,this should not be fully closed,but should be covered with a one-way valve,& then an underwater drain should be placed.ECG should be done in all cases associated with sternal injuries to rule out heart damage. Reference:Bailey & Love's short practise of surgery,25th edition,page no:341